The developmental Odontogenic cyst is
1. Periapical cyst
2. Paradental cyst
3. Residual cyst
4. Dentigerous cyst

Correct answer: 4. Dentigerous cyst

Explanation: Histologic Classification of Odontogenic CystsInflammatoryDevelopmentalPeriapical cystResidual cystParadental cystDentigerous cystOdontogenic keratocystGingival cyst of newbornGingival cyst of adultEruption cystLateral periodontal cystGlandular odontogenic cystCalcifying epithelial odontogenic cyst (Gorlin cyst)Ref: Robbins and Cotran Pathologic Basis of Disease; 9th edition; Chapter 16; Head and Neck; Change 734